Gall stone causes intestinal obstruction when it gets impacted in which part of the intestine commonly
1. Proximal ileum
2. Distal ileum
3. Duodenum
4. Jejunum

Correct answer: 2. Distal ileum

Explanation: This type of obstruction tends to occur in the elderly secondary to erosion of a large gallstone through the gall bladder into the duodenum. Classically, there is impaction about 60 cm proximal to the ileocaecal valve. The patient may have recurrent attacks as the obstruction is frequently incomplete or relapsing as a result of a ball-valve effect. Ref: Bailey & Love's Short Practice of Surgery,E25,Page-1190